In sympathetic opthalmitis first sign is -
1. Presence of KPs
2. Ciliary congestion
3. Tenderness of the globe
4. Disc oedema

Correct answer: 1. Presence of KPs

Explanation: The first sign may be presence of retrolental flare and cells or the presence of keratic precipitates (KPs) on back of cornea. Other signs includes mild ciliary congestion, slight tenderness of the globe, fine vitreous haze and disc oedema which is seen occasionally. Ref : Parsons' 22nd edition , page no.398